A 15 year-old boy presented with painful swelling over the left shoulder. Radiograph of the shoulder showed an osteolytic area with stippled calcification over the proximal humeral epiphysis. Biopsy of the lesion revealed an immature fibrous matrix with scattered giant cell. Which of the followng is the most likely diagnosis -
1. Gaint cell tumor
2. Chondroblastoma
3. Osteosarcoma
4. Chondromyxoid fibroma

Correct answer: 2. Chondroblastoma

Explanation: Painful swelling over the left shoulder, osteolytic area and stippled calcification over proximal humeral epiphysis in a 15 years old suggest the diagnosis of chondroblastoma.